Sausage finger appearance is seen in-
1. Psoriatic arthritis
2. Rickets
3. Hyperthyroidism
4. Addison's disease

Correct answer: 1. Psoriatic arthritis

Explanation: Psoriatic arthritis: Involvement of IP joints (interphalangeal) Saucerization of digits Tapering of pharynges Pencil in cup deformity Telescoping sign positive Arthritis multilans / erosive arthritis Opera glass deformity (La Main en Lorgnette) Pencil Cup Deformity